BRCA 1 gene is located on?
1. Chromosome 13
2. Chromosome 11
3. Chromosome 17
4. Chromosome 22

Correct answer: 3. Chromosome 17

Explanation: BRCA 1 gene is located on chromosome 17 BRCA 2 gene is located on chromosome 13 BRCA 1 mutation is having more risk than BRCA 2 mutation in breast carcinoma ref ;(page no;530) 5th edition of SRB'S Manual of SURGERY